Inactive precursors of enzymes are known as
1. Apoenzymes
2. Coenzymes
3. Proenzymes
4. Holoenzymes

Correct answer: 3. Proenzymes